Which of the following is a non–catecholamine sympathomimetic drug?
1. Ephedrine
2. Dopamine
3. Isoproterenol
4. Dobutamine

Correct answer: 1. Ephedrine